What is the cell of origin of primary lymphoma of the GI tract associated with celiac disease?
1. B-cell
2. T-cell
3. Histiocyte
4. Dendritic cell

Correct answer: 2. T-cell

Explanation: Lymphomas are progressive neoplastic condition of lymphoreticular system arising from stem cells. Lymphomas are the 3rd most common malignancy among children comprising 15% of paediatric cancers. Primary lymphoma of the GI tract associated with Celiac sprue--intestinal T cell lymphoma. Reference : page 253 SRB's manual of surgery 5th edition